Griffith demonstrated transformation with ?
1. H. influenzae
2. E. col i
3. Proteus
4. Pneumococcus

Correct answer: 4. Pneumococcus

Explanation: Ans. is 'd' i.e., Pneumococcus